At what age is physiological jaundice seen?
1. At birth
2. One week of life
3. One month of age
4. One year of age

Correct answer: 2. One week of life

Explanation: Ans. is 'b' i.e., One week of life Physiological jaundice* Most neonates develop visible jaundice due to elevation of unconjugated bilirubin concentration during their first week. This common condition is called physiological jaundice.* This pattern of hyperbilirubinemia has been classified into two functionally distinct periods -1. Phase one# Last for 5 days in term infant with peak bilirubin levels to 12 mg/dl.# Last for 7 days in preterm infant with peak bilirubin levels to 15 mg/dl.2. Phase two# There is decline to about 2 mg/dl, which lasts for 2 weeks after which adult values are attained.Criteria for physiological jaundicei) Clinical jaundice appears after 24 hours of age.ii) Total bilirubin rises by less than 5mg/dl per day (no sudden rise).iii) Peak bilirubin occurs at 3-5 days of age, with a total bilirubin of no more than 15 mg/dliv) Clinical jaundice is resolved by 1 weeks in term infants and 2 weeks in preterm infants.